Memory T Cells can be identified by using the following marker
1. CD 45 RA
2. CD 45 RB
3. CD 45 RC
4. CD 45 RO

Correct answer: 4. CD 45 RO